The treatment for a case of virilizing adrenal hyperplasia is :
1. Estrogens
2. Antiandrogens
3. ACTH
4. None of these

Correct answer: 4. None of these

Explanation: Cortisone In a case of virilising adrenal hyperplasia there is a block in the biosynthesis of corticosteroids which leads to increased ACTH. which inturn leads to increased androgen and therefore virilisation. This defect can be corrected by administering cortisone ,hydrocortisone or synthetic corticosteroids (like prednisone or prednisolone) which will effectively control the excess production of ACTH. It is most satisfactory to begin treatment with relatively larger doses of hydrocortisone divided in three doses orally for 7-10 days to obtain rapid suppression of adrenal activity. In younger infants the initial dose is about 25mg/day, and in adults 100mg/day. In newborn with CAH with defect in electrolyte regulation, it is usually necessary to administer NaCI in amounts of 4-6gm/day either orally or parenterally in addition to cortisone. Besides this : -- Phallus should be removed surgically (by age of 5 years). -- Mc lndoe's vaginoplasty should be done.